Skin condition which is associated with Subepidermal bullae with inflammatory infiltration
1. Pemphigus follaceus
2. Porphyria cutanea tarda (PCT)
3. Epidermolysis bullosa
4. Bullous pemphigoid

Correct answer: 4. Bullous pemphigoid

Explanation: Bullous pemphigoid is the prototype of subepidermal bullae with inflammation. large bullae  develop in the trunk, flexor  surfaces and intertriginous regions.  Detachment of the epidermis from the underlying basement membrane is related to autoantibodies to desmomal proteins.
Epidermolysis bullosa and PCT manifest subepidermal bullae without inflammation.